The genetic defect in Refsum's disease lies in
1. Alpha oxidation of fatty acids
2. LDL receptors
3. Fatty acid synthase complex
4. Recognition of apo A1

Correct answer: 1. Alpha oxidation of fatty acids